Spastic paraplegia is caused by all, except:
1. Vitamin B12 deficiency
2. Cervical spondylosis
3. Lead poisoning
4. Motor neuron disease

Correct answer: 3. Lead poisoning

Explanation: Answer is C (Lead poisoning): Lead poisoning is the single hest answer of exclusion. Although there are a few isolated case reports that implicate lead poisoning as a cause of spastic paraplegia, such reports are not confirmed and hence lead poisoning remains the single best answer of exclusion. Cord compression due to Cervical spondylosis, subacute combined degeneration of cord due to vitamin B12 deficiency, and motor neuron disease involving the UMN's are all established cause for spastic paraplegia. Causes of spastic paraplegia: Spinal cord compression Cervical spondylosis Cervical or thoracic disc Metastatic tumor Primary tumor (meningioma, neurofibroma etc) Infective (epidural abscess, spinal TB etc) Epidural haematoma Inflammatory disorders Multiple sclerosis Idiopathic transverse myelitis Sarcoidosis Infections (Iyme, zoster, TB, AIDS) Degenerative disorders Motor neuron disease Syringomyelia Vascular Spinal cord infarction Vasculitis, systemic lupus erythematosus etc Si'oinal AVM Trauma Cord contusion, laceration or transaction Displaced vertebral fracture or disc Traumatic epidural haematoma Metabolic/Nutritional B12 deficiency (subacute combined degeneration) Rare hereditary conditions Friedreich's ataxia Hereditary spastic paraparesis Parasagittal brain lesions Meningioma Cerebral venous sinus thrombosis Congenital spastic diplegia